Which of the following nerve runs with vagus between internal carotid artery and internal jugular vein till the angle of mandible?
1. Accessory nerve
2. Hypoglossal nerve
3. Glossopharyngeal nerve
4. Maxillary nerve

Correct answer: 2. Hypoglossal nerve

Explanation: Note :

Hyoglossal nerve passes lateral to internal and external carotic arteries.
Superior larngeal nerve passes medial to both arteries.
Glossopharyngeal and pharyneal branch of vagus pass between them.


The vagus lies most medial in the foramen.
Glossopharyngeal nerve and inferior petrosal sinus exit from the anterior compartment of the foramen.
Vagus and accessory nerves exit from the middle compartment.
The sigmoid sinus exits from the posterior compartment is soon joined by the inferior petrosal sinus becomes the internal jugular vein.